Denominator of negative predictive value is
1. TP + FP
2. TP + FN
3. TN + FN
4. TN + FP

Correct answer: 3. TN + FN

Explanation: Predictive value reflects the diagnostic power of the test. It's accuracy depends on sensitivity, specificity and disease prevalence. Predictive value of a negative test = d/(c+d)x100 Ref: 25th edition, Park's Textbook of Preventive and Social Medicine, Page no. 152